Portal vein formed by the union of-
1. Splenic and inferior mesenteric veins
2. Splenic and superior mesenteric veins
3. Right and left hepatic veins
4. Hepatic and splenic veins

Correct answer: 2. Splenic and superior mesenteric veins

Explanation: The portal vein is formed by the union of the superior mesentric and splenic veins behind the neck of the pancreas.